Salivary amylase is activated by:
1. Sodium Ion
2. Chlorine Ion
3. Potassium Ion
4. Bicarbonate Ion

Correct answer: 2. Chlorine Ion

Explanation: Ans. B: Chlorine IonSalivary Amylase break large, insoluble starch molecules into soluble starches (amythrodextrin, achrodestrin and ultimately maltose.Ptyalin acts on linear alpha (1,4) glycosidic linkages.Optimum conditions for ptyalinOptimum pH - 5.6 -6.9Human body temperature-37 degrees CelsiusPresence of certain anions and activators:- Chlorine and bromine - most effective- Iodine - less effective- Sulfate and phosphate- least effective